Where are the deposits found in IgA Nephropathy-
1. Subepithelial
2. Subendocardial
3. Mesangium
4. No deposists

Correct answer: 3. Mesangium